All of the following are enzymes of TCA cycle, EXCEPT
1. Aconitase
2. Fumarase
3. Malic enzyme
4. Citrate synthase

Correct answer: 3. Malic enzyme

Explanation: Do not confuse Malate dehydrogenase and malic enzyme. Malic enzyme Malate dehydrogenase oxidative decarboxylation of malate to pyruvate. oxidation of malate to oxaloacetate.